Hyperglycemia is seen in all except?
1. Cirrhosis
2. Myotonic dystrophy
3. Lipodystrophy
4. Sarcoma

Correct answer: 4. Sarcoma

Explanation: In cirrhosis, blood sugar is elevated, due to reduced uptake of sugar by liver. In myotonic dystrophy and lipodystrophy, there is tissue insensitivity to insulin leading to hyperglycemia. Sarcoma especially large retroperitoneal sarcomas secrete IGF-2 and lead to hypoglycaemia.